Radial styloid process gives attachement to
1. Extensor carpi ulnaris
2. Brachioradialis
3. Supinator
4. Anconeus

Correct answer: 2. Brachioradialis

Explanation: Extensor carpi ulnaris tendon traverses between the head of ulna and styloid process. Brachioradialis is inserted into the lowest part of lateral surface just above the styloid process. Supinator is inserted into the upper part of lateral surface . Anconeus is inserted into the lateral surface of olecranon process of ulna. B D Chaurasia 7th edition Page no: 18,138 Fig:2.14 page no 25 vishram Singh 2nd edition upper limb & thorax